Receptors of glucocorticoids are seen in:
1. Cytosol
2. DNA
3. Nucleus
4. Cell surface

Correct answer: 1. Cytosol

Explanation: Ans: a (Cytosol)Ref: Katzung 9 ed, section VII,chap 39 , page 907Orphan receptors are receptors without ligand. They are called orphan because the ligands are yet to be identified. Commonly asked questions about receptorsReceptor action for hormonesa) Receptors that are transcription factors These are intracellular 1) Cytoplasmic -e.g., glucocorticoid, mineralocorticoid, androgens, oestrogen, progestin, vitamin D 2) Nuclear - e.g., thyroxine, triiodot - hyronineb) Receptors that are not transcription factors These are present at cell membranes1) G protein coupled receptors:a) Through c AMPAdrenalineGlucagonTSH, FSH, LHPTH, calcitoninACTHb) Through 1P3/DAG Vasopressine Oxytoxin2) Enzymatic receptors This class of receptors are enzymatic proteins The enzyme in most case is tyrosine kinase Eg- Insulin Growth hormone Prolactin